In Apoptosis ,cytochrome C acts through
1. Apaf1
2. Bcl_2
3. FADD
4. TNF

Correct answer: 1. Apaf1

Explanation: Ref Robbins 8/e p29; 9/e p55 APAF1 (Apoptotic Peptidase Activating Factor 1) is a Protein Coding gene. Diseases associated with APAF1 include Dystrophinopathies and Lung Cancer. Among its related pathways are ApoptosisModulation and Signaling and TP53 Regulates Transcription of Cell Death Genes.